Kaposi's variceliform is mainly associated with:
1. Atopic dermatitis
2. AIDS
3. Congenital immunodeficiency
4. Psoriasis

Correct answer: 1. Atopic dermatitis

Explanation: Kaposi's variceliform is associated with Atopic dermatitis Eczema herpeticum - Generalised HSV eruptions. Seen mainly in infants of atopic dermatitis. Seen as vesciculo-pustular eruptions in which lesions show umbilication and often becomes hemorrhagic. There may be peripheral or central nervous system involvement. In AIDS Kaposi Sarcoma is seen, not kaposi's variceliform